Mastoid tip is involved in
1. Bezold abscess
2. Luc abscess
3. Citelli abscess
4. Parapharyngeal abscess

Correct answer: 1. Bezold abscess

Explanation: Bezold abscess can occur following acute coalescent mastoiditis when pus breaks through the thin medial side of the tip of the mastoid and present as a swelling in the upper part of the neck. (Ref: Textbook of diseases of ENT, PL Dhingra, 7th edition, pg no. 87)